Investigation of choice for esophageal rupture is
1. Dynamic MRI
2. Rigid esophagoscopy
3. Barium contrast swallow
4. Water soluble low molecular weight contrast swallow

Correct answer: 4. Water soluble low molecular weight contrast swallow

Explanation: Gastrografin (water soluble) is preferred to prevent extravasation of barium into the mediastinum or pleura. If no leak is seen, a barium study should follow